A patient met with a RTA with paralysis of both upper and lower limb. Patient has not passed urine and tenderness elicited in the cervical region. What will you advise?
1. The doctor should order a cervical x-ray and shift the patient from the trolley by himself
2. The patient should not be shifted and portable x-ray machine should be used after neck stabilization
3. The doctor will instruct the radiographer to take cervical and chest x-ray
4. The doctor will instruct the radiographer to take cervical x-ray AP and lateral view without any cervical support

Correct answer: 2. The patient should not be shifted and portable x-ray machine should be used after neck stabilization

Explanation: In a trauma patient, cervical stabilization is the first step in management along with airway. A cross table lateral cervical spine x- ray is considered in the same trolley itself without shifting the patient. A surgeon should accompany the patient if needed, so that patient can be transferred immediately to OT if any hemodynamic instability occurs. The spine should always be immobilized assuming a spine injury until proven otherwise Blunt trauma causes cord injury through direct impingement or indirect compression due to vertebral fracture or dislocation Penetrating trauma causes direct cord laceration or indirectly through ischemia or fracture